Emergence Delirium is characteristic of?
1. Midazolam
2. Ketamine
3. Thiopentone
4. Opioids

Correct answer: 2. Ketamine

Explanation: ANSWER: (B) KetamineREF: Goodman & Gillman 2009 edition page 231, Lippincotts pharmacology 5th edition table 25.1Emergence delirium characterized by hallucinations is a frequent complication of ketaminethat can result in serious patient dissatisfaction and can complicate postoperative management. Delirium is most frequent in the first hour after emergence and appears to occur less frequently in children; benzodiazepines reduce the incidence of emergence delirium.